Recommended level of fluoride in drinking water-
1. 0.2-0.5 mg/L
2. 0.5-0.8 mg/L
3. 0.8-1.2 mg/L
4. 1.2-2.0 mg/L

Correct answer: 2. 0.5-0.8 mg/L

Explanation: Ans, is 'b' i.e., 0[?]5 - 0[?]8 mg/L o The recommended level of fluoride in drinking water in the country is accepted as 0-5 to 0-8 mg.; Liter. -Park o The maximum permissible limit is T5 mg/L it.